Pseudolymphoma can result from long-term use of:
1. Phenytoin
2. Carbamazepine
3. Sodium valproate
4. Phenobarbital

Correct answer: 1. Phenytoin

Explanation: Answer is option 1, phenytoin Cutaneous pseudolymphomas are benign lymphoproliferative processes mimicking lymphomas clinically and histologically. One of the precipitating factors for pseudolymphoma is drugs like anticonvulsants, antidepressants and angiotensin-converting enzyme inhibitors. According to existing literature phenytoin-induced cutaneous pseudolymphomas are usually T-cell predominant. Ref: